In tumour lysis syndrome, all of the following are seen except:
1. Hyperuricemia
2. Hypercalcemia
3. Hyperkalemia
4. Hyperphosphatemia

Correct answer: 2. Hypercalcemia

Explanation: Tumor lysis syndrome: -Seen at the onset of chemotherapy in rapidly dividing tumor cells. Findings: - Hyperkalemia - Hyperphosphatemia - Hyperuricemia - Hypocalcemia RASBURICASE(URATE OXIDASE) IS USEFUL to DECREASE URIC ACID LEVEL.